Neonatal Jaundice first time appears in the 2nd week not a cause is __________
1. Galactosemia
2. Rh incompatibility
3. Hypothyroidism
4. Breast milk jaundice

Correct answer: 2. Rh incompatibility

Explanation: This causes an infant to become yellow (jaundiced). The level of bilirubin in the infant's blood may range from mild to dangerously high. Rh incompatibility develops only when the mother is Rh-negative and the infant is Rh-positive. This problem has become less common in places that provide good prenatal care. Reference: GHAI Essential pediatrics, 8th edition